Not a complication of fracture neck of femur -
1. Non-union
2. Malunion
3. AVN
4. Osteoarthritis

Correct answer: 2. Malunion

Explanation: Ans. is 'b' i.e., (Via (union Complications of femoral neck fractureo Fractures of the neck of the femur are more prone to serious complications than in any other fracture. All the complications affect fractures with displacement rather than impacted abducted (valgus impacted) fractures. The important complications are :Avascular necrosis of femoral heado AVN is the most common complication offemoral neck fracture.o It occurs in 15-35% of cases of displaced fractures and <10% of cases of undisplaced fracture.Non-uniono Non-union is the second most common complication of femoral neck fracture.o It occurs in 10-30% of cases of displaced fractures and <5% of cases of undisplaced fractures.Secondary osteoarthritiso It occurs a few years following fracture neck femur.o Avascular necrosis or collapse of femoral head leads to secondary osteoarthritis of the hip joint.